Amylase increased in pleural fluid is seen in following except:
1. Rheumatoid arthritis
2. Esophageal perforation
3. Malignancy
4. Gall stone pancreatitis

Correct answer: 1. Rheumatoid arthritis

Explanation: Answer is A (Rheumatoid arthritis): Rheumatoid Arthritis is not associated with increased amylase in pleural fluid. Conditions with High Amylase in pleural Fluid Esophageal RuptureQ Pancreatic effusionQ MalignancyQ